Soft sore is caused by?
1. H ducreyi
2. Calymmatobacteriumgranulomatis
3. Chlamydia trachomitis
4. T. Pallidum

Correct answer: 1. H ducreyi

Explanation: Ans. is "a' i.e., H ducrevi o Lesion of primary syphilis-Chancre (Hard - chancre).o Lesion of H. Ducreyi-Chancroid (Soft - chancre).